Laurence Moon Biedle syndrome -Associated with -
1. Polydactyly
2. Intellectual disability
3. Retinitis pigmentosa
4. All of above

Correct answer: 4. All of above

Explanation: Ans. is 'd' i.e., All of above [Ref: Harrison IS^/e p. 425\ Laurence-Moon-Biedl syndrome is characterized by:o Obesityo Intellectual disabilityo Retinitis pigmentosao Polydactylyo Hypogonadotropic hypogonadism